Increased LH : FSH ratio is seen in :
1. Premature menopause
2. Sheehan syndrome
3. PCOD
4. Turner syndrome

Correct answer: 3. PCOD

Explanation: In PCOD; LH:FSH ratio is increased (>2.1) Normal LH:FSH ratio = 1:1 PCOD : LH:FSH ratio = 3:1 . Due to Hyper androgenisis which leads to Increase in Estrogens which leads to Decrease FSH and Increase LH.